Which of the following type of glaucoma is treated by Argon Laser Trabeculoplasty?
1. Open angle glaucoma
2. Secondary glaucoma
3. Angle recession glaucoma
4. Angle closure glaucoma

Correct answer: 1. Open angle glaucoma

Explanation: Laser trabeculoplasty is effective in the initial treatment of primary open-angle glaucoma. Application of laser (either argon or frequency-doubled Q-switched Nd:YAG) burns a goniolens to the trabecular meshwork facilitates aqueous out-flow by virtue of its effects on the trabecular meshwork and Schlemm's canal or cellular events that enhance the function of the meshwork. The pressure reduction usually allows decrease of medical therapy and postponement of glaucoma surgery. Ref: Salmon J.F. (2011). Chapter 11. Glaucoma. In P. Riordan-Eva, E.T. Cunningham, Jr. (Eds), Vaughan & Asbury's General Ophthalmology, 18e.